Dangerous area of eye -
1. Ciliary body
2. Optic nerve
3. Sclera
4. Choroid

Correct answer: 1. Ciliary body

Explanation: Ciliary body This is because any trauma to the ciliary region of theeye leads to sympathetic ophthalmitis, Which is granulomatous uveitis, affecting even the normaleye. Hence ciliary region is called theDangerous Zone. Ref khurana 6/e